Which is not seen during the acute phase of Hepatitis B infection
1. HBV DNA
2. HBs Ag
3. IgM Anti HBe Ag
4. IgM Anti HBc Ag

Correct answer: 3. IgM Anti HBe Ag

Explanation: Ans: C) IgM Anti HBe Ag